After laryngectomy, dynamic oesophageal voice is produced from
1. Pharynx
2. Pharyngoesophageal segment
3. Trachea
4. Buccal mucosa

Correct answer: 2. Pharyngoesophageal segment

Explanation: Esophageal speech is a skill that can help patients to communicate after a laryngectomy, the most common surgery used for the treatment of laryngeal cancer. ... This hole is called a tracheostoma; the patient uses it to breathe through and cough through after the operation. Ref otolaryngology dhingra 3e